Among the following local anaesthetics, the one that is associated with vasoconstriction and mydriasis is:
1. Cocaine
2. Bupivacaine
3. Procaine
4. Lignocaine

Correct answer: 1. Cocaine

Explanation: Cocaine